In spider nevi, dilatation of blood vessels is due to:
1. Testosterone
2. Estrogen
3. Hepatotoxins
4. FSH

Correct answer: 2. Estrogen

Explanation: Ans. (B) Estrogen(Ref: Wikipedia)A spider angioma (also known as a nevus araneus, spider nevus, vascular spider, and spider telangiectasia) is a type of telangiectasis found slightly beneath the skin surface. The central red dot is the dilated arteriole and the red "spider legs" are small veins carrying away the freely-flowing blood. The dilation is caused by increased estrogen levels in the blood.